Cushing disease cause is
1. ACTH producing pituitary tumor
2. Adrenal Tumor
3. Ectopic production of ACTH
4. Adrenal Hyperplasia

Correct answer: 1. ACTH producing pituitary tumor

Explanation: Ans. (a) ACTH producing pituitary tumorRef: Endocrine Surgery by Schwartz Page 27* Pituitary adenoma arising from corticotroph cells causing secretion of ACTH resulting in Cushing's disease* Corticotroph cell adenomas may be clinically silent or may cause hypercortisolism, manifested clinically as Cushing syndrome, because of the stimulatory effect of ACTH on the adrenal cortex.* When the hypercortisolism is caused by Excessive production of ACTH by the pituitary, the process is designated Cushing disease, because it is the pattern of hypercortisolism originally described by Dr. Harvey Cushing.